Rectal polyps usually present with -
1. Obstruction
2. Perforation
3. Bleeding
4. Malignant change

Correct answer: 3. Bleeding